PRSS1 gene is on?
1. Chr 20q
2. Chr 17p
3. Chr 7q
4. Chr 1p

Correct answer: 3. Chr 7q

Explanation: Ans. (c) Chr 7q(Ref: Robbins 9th/pg 166; 8th/pg 166)Hereditary pancreatitis is characterized by recurrent attacks of severe acute pancreatitis often beginning in childhood and ultimately leading to chronic pancreatitis.The disorder is genetically diverse, but the shared feature of most forms is a defect that increases or sustains the activity of trypsin. Three genes implicated in hereditary pancreatitis are PRSS1, SPINK1, and CFTR.Most hereditary cases are due to gain-of-function mutations in the trypsinogengene (also known as PRSS1) on chr 7q34